High FMA angle indicates which of the following?
1. Poor prognosis
2. Good bone growth
3. Class III relation
4. Good prognosis

Correct answer: 1. Poor prognosis

Explanation: High FMA angle indicates that the patient has more vertical growth pattern. This angle is large in case of mandibular retrognathism and less in mandibular prognathism. This angle can be influenced by orthopaedic or orthodontic therapy. If angle is more, then the facial pattern is of vertical type and mandible is placed more posteriorly, so to bring the mandible to normal relationship with maxilla is quite difficult. So, such cases are difficult to treat and pose poor prognosis.
Key Concept:
If angle is more, then the facial pattern is of vertical type and mandible is placed more posteriorly, so to bring the mandible to normal relationship with maxilla is quite difficult. So, such cases are difficult to treat and pose poor prognosis.
Reference: Textbook of orthodontics 2nd ed Gurkeerat Singh page no 502